Which of the following drug is used in myocardial infarction
1. Cocaine
2. Pethidine
3. Morphine
4. Butarphanol

Correct answer: 3. Morphine

Explanation: Refer kDT 7/e 556 Treatment depends on severity Treatment ranges from lifestyle changes and cardiac rehabilitation to medication, stents and bypass surgery. Supportive care Defibrillation Using an electrical shock to correct a rapid, irregular heartbeat and restore the heart's normal rhythm. Oxygen therapy Providing extra oxygen to the lungs of people with breathing problems. Medications Blood Thinners Helps prevent blood clots from forming or helps dissolve existing clots. Heart Medication Helps reduce chest pain or pressure caused by blockages in the arteries of the heart. Narcotic Relieves pain, dulls the senses and causes drowsiness. May become addictive. Beta blocker Slows heart rate and decreases blood pressure. When taken in eye-drop form, it reduces eye pressure. Statin Decreases the liver's production of harmful cholesterol. ACE inhibitor Relaxes blood vessels, lowers blood pressure and prevents diabetes-related kidney damage. Medical procedure Coronary stent and Coronary angioplasty Therapies Cardiac rehabilitation Surgery Coronary artery bypass surgery